Alveolar-arterial tension gradient increases in all except?
1. Diffusion defects
2. Central Hypoventilation
3. R-L Shunt
4. Ventilation-Perfusion abnormality

Correct answer: 2. Central Hypoventilation

Explanation: Alveolar arteriolar gradient = pAO2- pAO2 Choices A, C, D will alter only pa02 leading to an increase in gradient. Higher the gradient more severe is the disease and would require ventilator support. Causes of increase alveolar arteriolar mismatch are: 1. V/Q Mismatch (e.g. PNA, CHF, ARDS, atelectasis) 2. Shunt (e.g. PFO, ASD, PE, pulmonary AVMs) 3. Alveolar Hypoventilation (e.g. interstitial lung disease, environmental lung disease) Remember that hypoventilation due to CNS diseases or neuromuscular disease will reduce the ventilatory drive and will lead to thereduction in both pAO2 and pAO2.